Hospital dressing is best disposed off by -
1. Incineration
2. Dumping
3. Autoclaving
4. Burying

Correct answer: 1. Incineration

Explanation: Incineration: This is an excellent method for safely destroying material such as contaminated cloth, animal carcasses, and pathological materials. Plastic such as PVC and polyethylene can be dealt with similarly but polystyrene materials emit clouds of dense black smoke and hence should be autoclaved in appropriate containers REF:Ananthanarayan and Panicker's Textbook ofMicrobiology 8thEdition pg no:31